A female patient has primary adrenal insufficiency. She is on hydrocortisone 15 mg a day and fludrocortisone 0.1 mg daily. She becomes acutely ill after eating raw oysters. She has severe, "cramping" abdominal pain and profuse watery diarrhea. Vital signs show a heart rate of 135 bpm, respiration rate of 28 bpm, blood pressure of 72/25 mm Hg, and temperature of 38.1degC. The exam shows tachycardia, dry oral mucosa, clear lungs, and diffuse abdominal tenderness. A rectal exam is heme negative. There are no skin rashes. Which of the following is most appropriate for the initial management of this patient?
1. Saline bolus
2. Dobutamine
3. D5 half-normal saline at 100 cc/hour
4. CT of abdomen and pelvis

Correct answer: 1. Saline bolus

Explanation: Anytime the BP is <80 need to give Saline bolus and correct the dehydration component. /F of the patient is Dehydration with known case of Addison's disease.(primary adrenal insufficiency)